Enterovirus 72 is -
1. Hepatitis A
2. Hepatitis E
3. Hepatitis G
4. Hepatitis C

Correct answer: 1. Hepatitis A

Explanation: Enterovirus 72 was the virus causing infectious hepatitis (hepatitis type A) which has been reclassified as a separate genus Hepatovirus. REF:ANATHANARAYAN AND PANIKER'S TEXTBOOK OF MICROBIOLOGY 8TH EDITION PAGE NO:485